Which is ss-RNA un-envloped virus -
1. HBV
2. HEV
3. HCV
4. None

Correct answer: 2. HEV